A 11 month old child presents with complaints of respiratory distress. On examination there is bilateral crepitation and wheezing. Which of the following is the most likely cause -
1. Pneumonia
2. Adenovirus
3. Respiratory synchytial virus
4. Rhinovirus

Correct answer: 3. Respiratory synchytial virus

Explanation: Ans. is 'c' i.e., Respiratory synchytial virus o The child presenting with respiratory distress and bilateral crepitations and wheezing, we have to suspect brochiolitis.